Cardiac output = 5 lit/min. BSA = 1.7 m2, calculate the cardiac index:
1. 5 L/m2
2. 4.8 L/m2
3. 3.0 L/m2
4. 3.7 L/m2

Correct answer: 3. 3.0 L/m2

Explanation: Ans. C.3.0L/m2Cardiac output average = 5.0 L/minCardiac index = cardiac out per square of body surface area.=5L/min1.7m2=3lit/min/m2